Peau d'orange appearance is due to -
1. Intra-epithelial cancer
2. Sub-epidermal cancer
3. Lymphatic permeation
4. Vascular embolization

Correct answer: 3. Lymphatic permeation

Explanation: Ans. is 'c'i.e., Lymphatic permeation o Repeat from previous sessions